In an emphysema patient with bullous lesions, which is the investigation to measure lung volume
1. Body plethysmography
2. Gas dilation
3. Transdiaphragmatic pressure
4. DLCO

Correct answer: 1. Body plethysmography

Explanation: Body plethysmography is the investigation of choice for estimating lung volumes in the settings of COPD with bullous lesions ( traped air) Ref Harrison 19th edition pg 306e_6